Highest incidence of acute appendicitis occurs in
1. 1st decade
2. 2nd decade
3. 5th decade
4. 6th decade

Correct answer: 2. 2nd decade

Explanation: (B) 2nd decade # Peak incidence of acute appendicitis is in the 2nd & 3rd decades of life.> It is relatively rare at the extreams of age.> Apendicular perforation is more common in infancy & in the elderly, during which periods mortality rates are highest.